Erenumab was approved by FDA in 2018 for
1. Phenylketonuria
2. Migraine
3. Hypertension
4. Glycogen storage disorders

Correct answer: 2. Migraine

Explanation: Erenumab belongs to a new class of drugs known as selective calcitonin gene-related peptide (CGRP) antagonists, which are used for the treatment of acute migraine attacks.